Which of the following is a cause of objective tinnitus?
1. Impacted Wax
2. Carotid artery aneurism
3. Meniere's disease
4. Ototoxic drugs

Correct answer: 2. Carotid artery aneurism

Explanation: Ans. is 'b' i.e., Carotid artery aneurism Tinnituso Tinnitus is ringing sound or noise in the ear.o The characteristic feature is that the origin of this sound is within the patiento Two types of tinnitus have been described : -a) Subjective I. Otologic# Impacted wax# Fluid in the middle ear# Acute and chronic otitis media# Abnormally patent eustachian tube# Meniere's disease# Otosclerosis# Presbyacusis# Noise trauma# Ototoxic drugs# Tumors of VUIth nerveb) Objective# Vascular tumours of middle ear (glomus tumour)# Aneurysm of carotid artery# Palatal myoclonus